Memory disturbance of ECT recovers in
1. Few days to few weeks
2. Few weeks to few months
3. Few months to few year
4. Permanent

Correct answer: 2. Few weeks to few months

Explanation: B i.e. Few weeks to few months